The kidney have the following anatomic characteristics, EXCEPT:
1. The right kidney relates anteriorly to the liver
2. The left kidney relates anteriorly to the pancreas
3. The kidneys lie completely within the retroperitoneal space
4. The right renal artery arises from the aorta passing anterior to the vena cava and enters the kidney at the hilus

Correct answer: 4. The right renal artery arises from the aorta passing anterior to the vena cava and enters the kidney at the hilus

Explanation: The kidneys lie along the vertebral column lying against the psoas major muscle extending from the first to the fourth lumbar vertebrae. They lie exclusively within the retroperitoneal space. The renal arteries arise from the aorta. The right renal artery passes behind the inferior vena cava, entering the kidney at the hilus where it divides into segmental branches. The five segmental branches give rise to the interlobar arteries, which in turn give rise to the arcuate arteries. The interlobar arteries arise from the arcuate and give off the afferent arterioles to the glomerulus.Ref: Tanagho E.A. (2008). Chapter 1. Anatomy of the Genitourinary Tract. In E.A. Tanagho, J.W. McAninch (Eds), Smith's General Urology, 17e.